Endotoxin causes -
1. Diarrhea
2. Muscle damage
3. Septic shock
4. None

Correct answer: 3. Septic shock